A 25 yrs women presents with bloody diarrhea & is diagnosed as a case of Ulcerative colitis. Which of the following condition is not associated :
1. Sclerosing cholengitis
2. Iritis
3. Ankylosing spondylitis
4. Pancreatitis

Correct answer: 4. Pancreatitis

Explanation: Answer is D (Pancreatitis)